Confirmatory investigation in retinitis pigmentosa is-
1. Optical coherence tomography
2. Pachymetry
3. Visual Acuity testing
4. Electroretinogram

Correct answer: 4. Electroretinogram

Explanation: Ans. is 'd' i.e., Electroretinogram Diagnosis of retinitis pigmentosao An accurate diagnosis of retinitis pigmentosa relies on the documentation of the progressive loss photoreceptor cell function, confirmed by a combination of visual field and visual acuity tests, fundus and optical coherence imagery, and electroretinographv (ERG),o Visual field and acuity tests measure and compare the size of the patient's field of vision and the clarity of their visual perception with the standard visual measurements associated with healthy 20/20 vision. Clinical diagnostic features indicative of Retinitis Pigmentosa include a substantially small and progressively decreasing visual area in the visual field test, and compromised levels of clarity measured during the visual acuity testo Additionally, optical tomography such as fundus and retinal (optical coherence) imagery provide further diagnostic tools when determining an RP diagnosis. Photographing the back of the dilated eye allows the confirmation of bone spicule accumulation in the fundus, which presents during the later stages of RP retinal degenerationo While visual field and acuity test results combined with retinal imagery support the diagnosis of Retinitis Pigmentosa, additional testing is necessary to confirm other pathological features of this disease. Electroretinographv (ERG) confirms the RP diagnosis by evaluating functional aspects associated with photoreceptor degeneration, and can detect physiological abnormalities before the initial manifestation of symptoms.